Chlamydia trachomatis true is -
1. Is a yeast
2. Is an intracellular organism
3. Forms extracellular bodies which are diagnostic
4. Is never demonstrable in conjuctival scrapping

Correct answer: 2. Is an intracellular organism

Explanation: Ans. is 'b' i.e., Is an intracellular organism